Symptoms of Epinephrine overdose following a local anesthetic injection may include all of the following except:
1. Restlessness
2. Hypotension
3. Apprehension
4. Palpitations

Correct answer: 2. Hypotension